The Most common complication following splenectomy is
1. Left lower lobe atelectasis
2. Wound dehiscence
3. Pneumococcal septicemia
4. Deep vein thrombosis

Correct answer: 1. Left lower lobe atelectasis

Explanation: (A) Left lower lobe atelectasis # Postoperative Complications after Splenectomy:> Immediate complications specific to splenectomy include haemorrhage resulting from a slipped ligature from the splenic artery.> Haematemesis from gastric mucosal damage and gastric dilatation are uncommon.> Left basal atelectasis is common and a pleural effusion may be present.> Adjacent structures at risk during the procedure include the stomach and pancreas.> A fistula may result from damage to the greater curvature of the stomach during ligation of the short gastric vessels.> Damage to the tail of the pancreas may result in pancreatitis, a localized abscess or a pancreatic fistula.> The blood platelet count may rise, and if this exceeds one million per milli litre prophylactic aspirin is recommended to prevent axillary or other venous thrombosis.> Post-splenectomy septicaemia may result from Streptococcus pneumonia, Neisseria meningitides, Haemophilus influenzae and Escherichia coli.> Opportunist Post-Splenectomy Infection (OPSI) is a major concern.> The benefit of prophylactic antibiotics in this setting is controversial.